Hypertension and pulmonary edema associated with scorpion sting is managed by:-
1. Carvedilol
2. Prazosin
3. Spironolactone
4. Phentolamine

Correct answer: 2. Prazosin

Explanation: Option D: HTN crisis d/t pheochromocytoma Movement produced by scorpion stings. Close monitoring during treatment with this drug and other sedatives or narcotics is necessary for persons with neuromuscular symptoms because of the risk of respiratory arrest. Hypertension and pulmonary edema respond to nifedipine, nitroprusside, hydralazine, or prazosin. Dangerous bradydyrhythmia can be controlled with atropine. Commercially prepared anitivenoms are available in several countries for some of the most dangerous species. An FDA-approvedC. Sculpturatus antivenom in horse serum is now available. IV administration of antivenomrapidly reverses cranial-nerve dysfunction and muscular symptoms. Although effective, cost analyses suggest the antivenoms should be reserved for only the most severe envenomations.